Which of the following drug is used in accommodative esotropia?
1. Miotics
2. Mydriatic
3. Steroids
4. Antibiotics

Correct answer: 1. Miotics

Explanation: In accommodative esotropia due to a high ratio of accommodative convergence to accommodation (AC/A ratio), the deviation is greater at near than at distance. The refractive error is hyperopic. Treatment is with glasses with full cycloplegic refraction plus bifocals or miotics to relieve excess deviation at near. Ref: Motley W., Asbury T. (2011). Chapter 12. Strabismus. In P. Riordan-Eva, E.T. Cunningham, Jr. (Eds), Vaughan & Asbury's General Ophthalmology, 18e.